All are a major manifestation of rheumatic fever and rheumatic heart disease except
1. Carditis
2. Elevated antiistreptolysin-O
3. Polyarthritis
4. Erythema marginatum

Correct answer: 2. Elevated antiistreptolysin-O

Explanation: major criteria of RHD include card it is,chorea,arthritis, subcutaneous nodule, erythema marginatum